Nodal Metastases is absent in:
1. Supraglottic carcinoma
2. Glottic carcinoma
3. Subglottic carcinoma
4. All of the above

Correct answer: 2. Glottic carcinoma

Explanation: As vocal cord is free of lymphatics, nodal metastasis is rase in Glottic carcinoma.